In Neurogenic shock true is:
1. Hypotension with bradycardia
2. Hypertension with bradycardia
3. Hypotension with tachycardia
4. Hypertension with tachycardia

Correct answer: 1. Hypotension with bradycardia

Explanation: Ans. A. Hypotension with bradycardiaIn neurogenic shock, main pathology is stretching of neural pathways in spinal cord. In this type of shock, low blood pressure & slowed heart rate occurs due to disruption of autonomic pathways in spinal cord.